Allopurinol potentiates the action of :
1. Corticosteroids
2. Probenecid
3. 6–Mercaptopurine
4. Ampicillin

Correct answer: 3. 6–Mercaptopurine